Which enzymatic mutation is responsible for immortaity of cancer cells
1. DNA reverse transcipatase
2. RNA polymerase
3. Telomerase
4. DNA polymerase

Correct answer: 3. Telomerase

Explanation: Prevention of telomere shortening with every cell division, due to activity of telomerase is the cause of immortality in cancer cells, germ cells, and stem cells as it protects from cellular aging and apoptosis.